Unilateral papilloedema with optic atrophy on the other side is a feature of -
1. Foster kennedy syndrome
2. Fisher syndrome
3. Vogt-koyanagi harada syndrome
4. WAGR syndrome

Correct answer: 1. Foster kennedy syndrome